Child attains a height of 100 cm at the age of:
1. 1 year
2. 2 years
3. 3 years
4. 4 years

Correct answer: 4. 4 years

Explanation: Ans. D: 4 years A normal Indian child is 100 cm tall at the age of 4.5 years